What constitutes a spinal motion segment?
1. A disc and the facet joints at that level.
2. A disc and the vertebrae above and below, including their interlocking facet joints.
3. A section of the spine involved in a physiological curve with the similar function (i.e. thoracic kyphosis).
4. A vertebral body and the disc above.

Correct answer: 2. A disc and the vertebrae above and below, including their interlocking facet joints.

Explanation: Ans. B. A disc and the vertebrae above and below, including their interlocking facet joints.A spinal motion segment is made up of a disc with its adjacent vertebrae and their interlocking facet joints devoid of musculature